Palmomental reflex is seen in lesions of –
1. Frontal lobe
2. Parietal lobe
3. Temporal lobe
4. Occipital lobe

Correct answer: 1. Frontal lobe

Explanation: Pahnomental reflex

A stimulus to the thenar area of the hand causes a reflex contraction of ipsilateral orbicularis oris and mentalis muscles.
It is a primitive reflex which is inhibited by frontal lobe as the child grows.
In frontal lobe lesions, the inhibitory effect of the frontal lobe is released → appearance of palmomental reflex.